The gene affected in Gilber's syndrome is:
1. UGT1A1
2. MRP2
3. Unknown
4. MRP 3

Correct answer: 1. UGT1A1

Explanation: PARAMETER Syndrome GILBERT'S CRIGLER- NAJJAR TYPE I CRIGLER-NAJJAR TYPE II DUBIN-JOHNSON ROTOR'S Incidence 6%-12% Very rare Uncommon Uncommon Rare Gene affected UGT1A1 UGT1A1 UGT1A1 MRP2 Unknown Metabolic defect |Bilirubin conjugation No bilirubin conjugation ||Bilirubin conjugation Impaired canalicular export of conjugated bilirubin Impaired canalicular export of conjugated bilirubin Ref: Sleisenger and Fordtran's, E-9, P-326